Eruption of Mandibular Lateral incisor occur at
1. 8-9 years
2. 10-11 years
3. 19-20 years
4. 7-8 years

Correct answer: 4. 7-8 years